Thoughts in mind with rhyming rather than with meaning of thoughts is
1. Flight of ideas
2. Perseveration
3. Circumstantiality
4. Clang association

Correct answer: 4. Clang association

Explanation: Clang association: Association or speech directed by the sound of a word rather than by its meaning; words have no logical connection. Circumstantiality: Disturbance in the associative thought and speech processes in which a patient digresses into unnecessary details and inappropriate thoughts before communicating the central idea. Flight of ideas: Rapid succession of fragmentary thoughts or speech in which content changes abruptly and speech may be incoherent. Perseveration: Pathological repetition of the same response to different stimuli, as in a repetition of the same verbal response to different questions. Reference: Kaplan & Sadock's Synopsis of psychiatry, 11th edition, pages 1409,1412,1415.